The test of choice to detect perivalvular abscesses?
1. MRI
2. CT scan
3. 2D-echo
4. TEE with color Doppler

Correct answer: 4. TEE with color Doppler

Explanation: PERIVALVULAR INFECTION This complication, which is most common with aortic valve infection. Trans-esophageal Echo (TEE) with color Doppler is the test of choice It is rapid,noninvasive with excellent specificity for vegetations as the transducer in esophagus is in close proximity to the aortic root and septum